In which of the following conditions Berlin's edema is seen?
1. Open angle glaucoma
2. After cataract surgery
3. After concussional trauma
4. Diabetic retinopathy

Correct answer: 3. After concussional trauma

Explanation: After concussional trauma